Arrange the components of ETC used in sequence when ETC starts from FADH2: A. ATP synthase B. Cytochrome c Reductase C. Succinate dehydrogenase D. Cytochrome c oxidase
1. A - D- B- C
2. C - B- D- A
3. C - D- A-B
4. D - B- A- C

Correct answer: 2. C - B- D- A

Explanation: Components of Electron Transport Chain